Ivermectin is indicated in all of the following except:
1. Ascaris
2. Filariasis
3. Malaria
4. Oncocerciasis

Correct answer: 3. Malaria

Explanation: Ans: C (Malaria) Ref: The Pharmacological basis of therapeutics by Goodman dc Gilman - 12th edition, page no. 1455-1456 & Malaria Journal 2013: 12:153Explanation:Ivermectin has a beneficial therapeutic effect inOnchocerciasisLvmphatic filariasisStrong lyloidiasisAscariasisEnterobiasis.Ivermectin is also effective in head lice infection, cutaneous larva migrans and scabiesIt does not have any proven beneficial effect in malaria.Since ivermectin can act on the GABA receptors in the CNS, it should be avoided in patients with meningitis and African trypanosomiasis that are associated with breached blood brain barrier.Ivermectin should not be given to pregnant and lactating women, children less than 5 years of age and severely ill patient.Note:However ivermectin has been recently found to have a beneficial effect in reducing the risk of malaria transmission by its vector control activity by targeting the anopheles mosquito.However this is still needs to be verified with the help of large studies. (Ref: Malaria Journal 2013; 12:153)